Chronic adrenal insufficiency is characterized by all of the following except -
1. Excess pigmentation
2. Asthenia
3. Weight gain
4. Hypoglycemic episodes

Correct answer: 3. Weight gain